All are true regarding halothane except-
1. Non - inflammable
2. Boils at 50 degree C
3. It is stable on the exposure to light
4. Heavy, colorless & sweet smell

Correct answer: 3. It is stable on the exposure to light

Explanation: Halothane is not in clinical use in developed nations because of its unstability it is very unstable , needs a preservative thymol for its storage in ventilator which makes the ventilator sticky it decomposes with exposure to light needs dark bottle to store it.